Least analgesic
1. N20
2. Ether
3. Halothane
4. Cyclopropane

Correct answer: 3. Halothane

Explanation: C i.e. Halothane